Most common surgical cause of obstructive jaundice?
1. Periampullary carcinoma
2. Carcinoma gall bladder
3. Carcinoma head of pancreas
4. CBD stones

Correct answer: 4. CBD stones

Explanation: Ans. is 'd' i.e., CBD Stones Most common surgical cause of obstructive jaundice is choledocholithiasis